All are calculated by Cohort study, except ?
1. Incidence
2. Relative risk
3. Odds ratio
4. Attributable risk

Correct answer: 3. Odds ratio

Explanation: Ans. is 'c' i.e., Odds ratio Characteristics Cohort Study Case control Study Cross Sectional Study Design Prospective Retrospective One point in time Incidence Estimated Not estimated Not estimated Prevalence Not estimated Not estimated Estimated Calculations Incidence rates Relative risk Attributable risk Odds ratio